Ovulation coincides with :
1. Estrogen surge
2. Progesterone surge
3. FSH surge
4. LH surge

Correct answer: 4. LH surge

Explanation: LH surge